Oxytocin causes all except -
1. Lactogenesis
2. Milk ejection
3. Contraction of uterine muscle
4. Myoepithelial cell contraction

Correct answer: 1. Lactogenesis

Explanation: Ans. is 'a' i.e., Lactogenesis Important actions of oxvtocin are : Contraction of uterine smooth muscle (directly by acting on GPCR and indirectly by release of PG and LTs). Milk ejection by contraction of myepithelial cells surrounding mammary alveoli. At high concentration; anti-diuretic and vasopressor action can be seen. Note : Lactogenesis is the action of prolactin (not oxytocin).